Steroid resistant nephrotic syndrome associated with which gene?
1. NPHS 2
2. HOX II
3. PAX
4. ACE

Correct answer: 1. NPHS 2

Explanation: 2 patterns of autosomal recessive FSGS Steroid-resistant nephrotic syndrome Congenital nephrotic syndrome NPHS 2 gene mutation NPHS 1 mutation Maps to chromosome 1q25-q31 Maps to chromosome 19q13 Encodes the protein podocin Encodes the protein nephrin